Deep transverse arrest is most commonly seen in?
1. Anthropoid pelvis
2. Android pelvis
3. Gynaecoid pelvis
4. Platypelloid pelvis

Correct answer: 2. Android pelvis

Explanation: ANSWER: (B) Android pelvisREF: Dutta 6th ed p. 346PelvisComplicationsAndroidDeep transverse arrestAnthrapoidFace to pubis deliveryGynaecoidNormal pelvisPlatypelloidAsynclitism